Which is the most common second malignancy in survivors of retinoblastoma?
1. Optic glioma
2. Osteosarcoma
3. Thyroid cancer
4. Nasopharyngeal carcinoma

Correct answer: 2. Osteosarcoma

Explanation: Osteosacrcomas are the most common second malignancy in survivors of retinoblastoma. Ref: Cancer in Children and Adolescents By William Larkin Carroll, Page 384; Manual of Pediatric Hematology and Oncology By Philip Lanzkowsky, 5th Edition, Page 947